In phaeochromocytoma, the urine will contain -
1. VMA
2. HIAA
3. Both
4. None

Correct answer: 1. VMA